"Owl Eye" appearance of inclusion bodies are seen in
1. HIV-I
2. CMV
3. Papova
4. Toxocara

Correct answer: 2. CMV

Explanation: (B) CMV # Cytomegalic cells in vivo (presumed to be infected epithelial cells) are two to four times larger than surrounding cells and often contain an 8- to 10-m intranuclear inclusion that is eccentrically placed and is surrounded by a clear halo, producing an "owl's eye" appearance.> Cytomegalic cells are found in a wide variety of organs, including the salivary gland, lung, liver, kidney, intestine, pancreas, adrenal gland, and central nervous system.> Viral inclusion bodies:A. Examples of viral inclusion bodies in animals are Intracytoplasmic eosinophilic:1. Negri bodies in Rabies2. Guarnieri bodies in Small pox3. Henderson-Peterson bodies in Molluscum contagiosumB. Intranuclear acidophilic:1. Cowdry type A in Herpes simplex virus and Varicella zoster virus and Torres bodies in Yellow fever2. Cowdry type B in PolioC. Intranuclear basophilic:1. Cowdry type B in Adenovirus2. "Owl eyes" in cytomegalovirusD. Both intranuclear and intracytoplasmic:1. Warthin fmkeldey bodies in Measles.